Tissue f r om rat used for detection of antinuclear antibodies
1. Kidney
2. Brain
3. Stomach
4. Liver

Correct answer: 4. Liver

Explanation: Serum antinuclear antibodies bind to corresponding antigents present in the rat liver section.the antigen-antibody complexes are detected by means of fluorescent labeled anti human immunoglbulin .and visualised with the aid of a fluorescence microscopy ref Robbins 9/e immunity chapter p131 and internet